Which vital structure is preserved during radical dissection -
1. Vagus nerve
2. Submandibular gland
3. Strenocleidomastoid
4. Internal jugular vein

Correct answer: 1. Vagus nerve